Pseudokidney sign' on USG is seen in
1. Trichobezoar
2. CA stomach
3. CA kidney
4. Polycystic kidney

Correct answer: 2. CA stomach

Explanation: Ans. CA stomach